Which of the following structure develops from the proctodeum?
1. Rectum
2. Sigmoid colon
3. Upper 2/3rd of anal canal
4. Lower 1/3rd of anal canal

Correct answer: 4. Lower 1/3rd of anal canal

Explanation: Proctodeum or ectoderm lined anal pit is formed by the accumulation of mesodermal cells around the periphery of the anal membrane. This gives rise to lower 1/3rd of the anal canal. Cloaca is the terminal expanded portion of the primitive hindgut. The cloacal chamber is divided into dorsal and ventral cavities. The dorsal division gives rise to rectum and upper half of anal canal. The lower half of anal canal develops from proctodeum. Ref: Essentials Of Human Embryology (Rev. Edn) By Bhatnagar, S.M page 122